Which of the following structures of the mind work on an unconscious level?
1. The id only
2. The id and the ego only
3. The id, ego, and superego
4. The ego and superego only

Correct answer: 3. The id, ego, and superego

Explanation: In Freud's structural theory, the mind is divided into the Id, Ego, and Superego The id operates completely on an unconscious level, and is the most primitive part .It works on pleasure principle While the ego and superego operate partly on an unconscious and partly on preconscious and conscious levels. Ego is based on reality principle and super ego is based on moral principle.